Gonion, menton and pogonion are located on
1. Midline landmarks
2. Mandible
3. Maxilla
4. Skeletal profile

Correct answer: 2. Mandible